Hand foot syndrome is seen with which anticancer drug?
1. Cisplatin
2. 5-fluorouracil
3. Methotrexate
4. Imatinib

Correct answer: 2. 5-fluorouracil

Explanation: Ans. B. 5-fluorouracilHand and foot syndrome is caused by 5-fluorouracil, capecitabine, doxorubicin. Cisplatin is highly emetic and nephrotoxic drug. Methotrexate is hepatotoxic.